Treatment of choice for cancer head of pancreas?
1. Radiotherapy
2. Chemotherapy + Radiotherapy
3. Whipple's surgery
4. Resection of the entire pancreas with adjuvant chemotherapy

Correct answer: 3. Whipple's surgery

Explanation: Ans. (c) Whipple's SurgeryRef: Bailey and Love 26th/e p. 1139* Whipple's Pancreaticoduodenectomy is the Surgical Treatment of Choice for Distal CBD cancer, Periampullary cancer and Pancreatic head cancer